Reaming action of the reamer is
1. Pushing regenerating
2. Pushing, rotating & regenerating
3. Pushing & pulling
4. None

Correct answer: 2. Pushing, rotating & regenerating